Primaiy sclerosing cholangitis is associated with
1. Ulcerative colitis
2. Carcinoma gall bladder
3. Crohn's disease
4. Intestinal tuberculosis

Correct answer: 1. Ulcerative colitis

Explanation: Ulcerative Colitis Ulcerative colitis is closely related to Crohn disease. However, ulcerative colitis is limited to the colon and rectum. Some extraintestinal manifestations of ulcerative colitis overlap with those of Crohn disease, including migratory polyarthritis, sacroiliitis, ankylosing spondylitis, uveitis, skin lesions, pericholangitis, and primary sclerosing cholangitis. TEXT BOOK OF ROBBINS BASIC PATHOLOGY NINTH EDITION PAGE.590